Most common side effect of salbutamol is:
1. Tremors
2. Hypertension
3. Rhinorrhea
4. Headache

Correct answer: 1. Tremors

Explanation: Ans. A. TremorsSalbutamol Side effectsa. Most common side effects are muscle tremorb. Palpitation, restlessness, nervousness, throat irritation and ankle edema can also occurc. Hypokalemia and hyperglycemia are metabolic side effectsRegular use also down regulates bronchial B2 receptors